In an adult, the hyoid bone is seen at which of the following level of the cervical vertebrae?
1. C2
2. C3
3. C4
4. C5

Correct answer: 2. C3

Explanation: The hyoid bone is found at the level of third cervical vertebrae in adults. It is situated above the thyroid cartilage in the anterior wall of the hypopharynx in relation to the base of the tongue. It is made up of a body, bilateral greater cornua and bilateral lesser cornua. It is a sesamoid bone and is suspended in between the supra hyoid and infra hyoid musculature and is therefore responsible for the concavity between the chin and the anterior neck. The body is convex from side to side. At either end of the body on its upper surface is a small tubercle called lesser cornu. It is the point of attachment of medial end of middle constrictor muscle and stylohyoid ligament.